Lymph node biopsy of an AIDS patient shows:
1. Warthin-Finkeldey cells
2. Marked follicular hyperplasia
3. 'Moth-eaten appearance'
4. All of the above

Correct answer: 4. All of the above

Explanation: Ans. D: All of the aboveHistopathology of HIVFlorid reactive hyperplasia-may be:- Collections of monocytoid B cells in sinuses- Neutrophils- Features of dermatopathic lymphadenopathyOften reactive germinal centers show 'follicle lysis':i.e. invagination of mantle lymphocytes into germinal centers associated with:- Disruption of centers ('moth-eaten appearance')- Distinctive clustering of large follicular center cells resulting appearance termed explosive follicular hyperplasiaOccasional polykaryocytes:- Warthin-Finkeldey cells- May be multinucleated form of follicular dendritic cellElectron microscopy:- Sometimes prominent follicular dendritic cells exhibit alterations of their fine processesInterfollicular tissue may show prominent vascular proliferation: vague resemblance to Castleman's disease- These areas and subcapsular region may reveal earliest signs of Kaposi's sarcoma- Sometimes advanced lymphocyte depletion: may be abnormal (regressively transformed) germinal centers